A 55-year-old man presents with a 10 day history of confusion. His friend mentions that he drinks 15 units of alcohol per day. Which of the following strongly suggests a diagnosis of Korsakoff's psychosis:
1. Delusional beliefs
2. Poor long-term memory
3. Auditory hallucinations
4. Confabulation

Correct answer: 4. Confabulation

Explanation: Ans. Confabulation